Loss of dorsal column result in loss of
1. Knee jerk
2. Ankle jerk
3. Proprioception
4. Abdominal reflex

Correct answer: 3. Proprioception

Explanation: The dorsal column-medial lemniscus pathway (DCML) (also known as the posterior column-medial lemniscus pathway (PCML)) is a sensory pathway of the central nervous system that conveys sensations of fine touch, vibration, two-point discrimination, and proprioception (position) from the skin and joints. Ref: guyton and hall textbook of medical physiology 12 edition page number:691,692,693